Open bite on cephalogram shows as:
1. Increased MP angle
2. Decreased MP angle
3. Increased ANB angle
4. None of the above

Correct answer: 1. Increased MP angle